Most severe complication of maxillary sinus lavage and insufflation-
1. Facial nerve injury
2. Air embolism
3. Epistaxis
4. Coagulopathy

Correct answer: 2. Air embolism

Explanation: Ans. is 'b' i.e., Air embolism Complication of Maxillary sinus lavage and insufflationo Complications of nonendoscopic drainage procedures can be minor or severe.o The most common complication is failure to enter the sinus because of improper positioning of the trocar, incomplete penetration of the sinus mucosa, or the presence of a hypoplastic antrumo Epistaxis may occur because of laceration of the nasal mucosa or preexisting coagulopathies necessitating packingo Severe complications include orbital injury, air embolism, and death secondary to injection of air into the sinus.